Parasympathetic stimulation results in
1. Sphincter closure of gall bladder
2. Increased peristalsis
3. Decreased GI motility
4. Decreased pancreatic secretion

Correct answer: 2. Increased peristalsis

Explanation: Parasympathetic stimulation results in increased peristalsis. Generally, the stimulation of parasympathetic nerves(PNS) causes an increase in the activity of the entire enteric nervous system. This, in turn, enhances the activity of most gastrointestinal functions. PNS stimulation causes: Contraction of smooth muscles in the wall Relaxation of sphincters Increased salivary secretion Increased gastric secretion Increased pancreatic secretion SNS stimulation causes: Relaxation of smooth muscle in the wall Contraction of sphincters. Ref: Guyton and Hall 13th edition Pgno: 78,79